Gastric lavage is contraindicated in Rx of poisoning due to the following EXCEPT:
1. Nitric acid
2. H2SO4
3. HCL
4. Carbolic acid

Correct answer: 4. Carbolic acid

Explanation: Ans. d (Carbolic acid). (Ref. Parikh, FMT, 5th ed., 130 and Reddy, FMT, 13th ed., 367)CONTRAINDICATIONS TO GASTRIC LAVAGE# Corrosive poisoning (danger of perforation).# Convulsant poisons# Comatose patients# Volatile poisons# Upper alimentary disease e.g. varices# Marked hypothermia